Thickening of basement membrane of glomeruli is seen in -
1. IgA nephropathy
2. Membranoproliferative glomerulonephritis
3. Lipoid nephrosis
4. Post streptococcal glomerulonephritis

Correct answer: 2. Membranoproliferative glomerulonephritis

Explanation: In MPGN there is thickeng of GBM, which is most evident in the peripheral capillary loops.